Post delivery uterus becomes pelvic organ by
1. 48hours
2. 1week
3. 2weeks
4. 6weeks

Correct answer: 3. 2weeks

Explanation: Following delivery, the fundus lies about 13.5 cm (5 1/2") above the symphysis pubis. During the first 24 hours, the level remains constant; thereafter, there is a steady decrease in height by 1.25 cm (1/2") in 24 hours, so that by the end of the second week the uterus becomes a pelvic organ. The rate of involution thereafter slows down until by 6 weeks, the uterus becomes almost normal in sizeReference: DC Dutta's Textbook of Obstetrics; Chapter 13; Normal Puerperium